Terry Thomas sign is seen in
1. Keinbock's disease
2. Carpal dislocation
3. Calcaneal disorder
4. Hip trauma

Correct answer: 2. Carpal dislocation

Explanation: scapholunate dislocation : * Most common ligamentous instability of the wrist * Patients may have high degree of pain despite apparently normal radiographs * Physicians should suspect this injury if patient has wrist effusion and pain seemingly out of proportion to the injury * If improperly diagnosed can lead to chronic pain * Located proximal axial line from 3rd metacarpal Scapholunate Dissociation-Diagnosis * Exam -- Watson's test -- Scaphoid shuck test -- Pain/swelling over dorsal wrist, proximal row * Imaging -- Plain films: >3mm difference on clenched fist view -- Scaphoid ring sign Scapholunate Dissociation Treatment * If discovered within 4 weeks, surgery * After 4 weeks, conservative treatment reas -- Bracing -- NSAIDS -- Consider evaluation by hand surgery to confirm no surgery needed ref : maheswari 9th ed